The largest trematode infecting masn is -
1. F. Hepatica
2. F. Buski
3. E. Granulosus
4. Clonorchis sinensis

Correct answer: 2. F. Buski

Explanation: large or giant intestinal fluke Largest trematode infecting humans Pig serves as reservoir of infection (refer pgno:127 baveja 3 rd edition)